Most common location of posterior urethral value is
1. Proximal to Verumoutanum
2. At the level of Vermoutanum
3. Distal to Vermoutanum
4. At the bladder neck

Correct answer: 3. Distal to Vermoutanum